Saddleback fever is known as
1. Dengue fever
2. Brucellosis
3. Malaria fever
4. Typhoid fever

Correct answer: 1. Dengue fever

Explanation: • Saddleback fever: Two peaks of fever separated by an afebrile period in-between
• Seen in: Dengue, Trench fever, Bartonellosis, Chikungunya, Colaradotick fever
• Saddleback fever: Two peaks of fever separated by an afebrile period in-between
• Seen in: Dengue, Trench fever, Bartonellosis, Chikungunya, Colaradotick fever